Tripod fracture is -
1. Displaced fracture of calcaneum
2. Zygomatiomaxillary fracture
3. Sphenoid Wing Fracture
4. Coronal Shear pilon Fracture

Correct answer: 2. Zygomatiomaxillary fracture

Explanation: Ans. is 'b' i.e., Zygomatiomaxillary fracture o Zygomaticomaxillary complex (ZMC) fractures, also known as a tripod, tetrapod, quadripod, malar or trimalar fractures, are seen in the setting of traumatic injury to the face. They comprise fractures of the:# Zygomatic arch# Inferior orbital rim, and anterior and posterior maxillary sinus walls# Lateral orbital rim